A 27 years old male unable to perform Sexual activity is:-
1. Disease
2. Impairment
3. Disability
4. Handicap

Correct answer: 3. Disability

Explanation: Spectrum of Disease: Disease - Any abnormal condition of an organism that Impairs function of a person. Impairment - Loss of anatomical / physio/ psycho function. Disability - Unable to carry out certain activities considered normal for his age,sex etc. Handicap - Unable to perform social role.